The first line of treatment of open angle glaucoma is -
1. Timolol
2. Pilocarpine
3. Epinephrine
4. Carbonic anhydrase inhibitor

Correct answer: 1. Timolol

Explanation: Topical Beta blockers are being recommended as the first drug of choice for medical therapy of POAG in poor and average income patients.These lower IOP by reducing the aqueous secretion due to their effect on beta 2 receptors in the ciliary processes. Ref :Ophthalmology A K Khurana 6th edition chapter-10 page no :236